Periventricular calcification seen in encephalitis is due to
1. Herpes Zoster
2. HSV-I
3. HSV-II
4. CMV

Correct answer: 4. CMV

Explanation: Ans: DCongenital cytomegalovirus infection results from intra-uterine fetal infection by cytomegalovirus (CMV) fetal intracranial calcification: mainly periventricular calcification (hyperechogenic foci), considered on the commonest of features